Most cost effective approach for the prevention of non-communicable disease is by -
1. Primary prevention
2. Specific protection
3. Primordial prevention
4. Secondary prevention

Correct answer: 3. Primordial prevention

Explanation: Park's textbook of preventive and social medicine 23rd edition. A novel approach to primary prevention of CHD is primordial prevention. It involves preventing the emergence and spread of CHD risk factors and life styles that have not yet appeared or become endemic..